Methylene blue test for milk is used to detect
1. Microorganisms
2. Lactose
3. Proteins
4. Sugars

Correct answer: 1. Microorganisms

Explanation: Methylene Blue Dye Reduction Test is used to assess the microbiological quality of raw and pasteurized milk. This test is based on the fact that the blue colour of the dye solution added to the milk get decolourized when the oxygen present in the milk get exhausted due to microbial activity. The sooner the decolourization, more inferior is the bacteriological quality of milk assumed to be.